Dowry death defined under IPC?
1. 302 A
2. 302 B
3. 304 A
4. 304 B

Correct answer: 4. 304 B

Explanation: Offences on human body: 299 IPC Definition of culpable homicide not amounting to murder 300 IPC Definition of murder (culpable homicide amounting to murder) 302 IPC Punishment for murder - death or imprisonment for life 304 IPC Culpable homicide not amounting to murder. Imprisonment for life 10 yrs, and also fine 304 A IPC Death caused by rash and negligence act- 2 yrs 304 B IPC Dowry death- death of a female within 7 yrs of marriage 304 B is for BRIDE. 304 A is for APRON